A metastatic tumour least common in -
1. Pelvis
2. Ribs
3. Small bone of lower limb
4. Vertebra

Correct answer: 3. Small bone of lower limb

Explanation: The commonest sites for bone metastases are the vertebrae (commonest), pelvis, the proximal half of the femur, the humerus and ribs.
Extremities distal to elbow and knee are least commonly involved sites.